Glioma of the optic nerve is usually –
1. Gemistocytic
2. Pilocytic
3. Fibrillary
4. Lamellar

Correct answer: 2. Pilocytic

Explanation: Optic nerve glioma

Optic nerve glioma, also referred to as juvenile pilocytic astrocytoma, is the most frequent tumour of the optic nerve in childhood.
It is a developmental hamartoma.
It is either stationary or only slowly progressive.
Tumour may arise in any portion of the nerve →


Intraorbital,
Intracanalicular
Intracranial